All of the following provisions are included in the Primary health care according to the Alma Ata declaration except:
1. Adequate supply of safe drinking water
2. Nutrition
3. Provision of free medicines
4. Basic sanitation

Correct answer: 3. Provision of free medicines

Explanation: ALMA - ATA CONFERENCE: Called for WHO Goal of "Health for All" by 2000 India is a signatory Provisions included under Primary Health Care according to Alma Ata conference: E- Essential drugs ; 33-38 essential drugs are included in PHC. Most essential drug is Paracetamol L - Locally endemic disease prevention & control E - Education M - Maternal & child health E - EPI 1978; UIP- 1985 N- Nutrition T - Treatment of common ailments S - Safe water supply & sanitation